The following statements regarding finasteride are true EXCEPT:
1. It is used in the treatment of benign prostatic hyperplasia
2. Impotence is well documented alter its use
3. It blocks the conversion of dihydrolestosteron to testosterone
4. It is a 5 a reductase inhibitor

Correct answer: 3. It blocks the conversion of dihydrolestosteron to testosterone

Explanation: Finasteride is a competitive inhibitor of enzyme 5 alpha-reductase which converts testosterone into DHT. DHT is a more powerful androgen than testosterone It is used for the treatment of BPH and androgenic alopecia Adverse effect-cause impotence.(Ref.Essentials of medical pharmacology TD Tripathi 7th edition page no.302)